True about esophageal carcinoma is
1. More lethal than the colorectal cancers
2. These show an increasing trend towards the number of squamous cell carcinomas
3. Smaller size esophageal lesions have better survival
4. Asymptomatic benign lesions should be excised immediately

Correct answer: 1. More lethal than the colorectal cancers

Explanation: Ans. is 'a' i.e., More lethal than colorectal cancers Esophageal carcinoma* Esophageal cancer occurs in about 4.5:100,000 people in the United States with the associated mortality being only slightly less at 4.4:100,000.* It is about 10 times less common than colorectal cancer but kills about one-quarter as many patients. These statistics emphasize both the rarity and lethality of esophageal cancer.* One notable trend is the shift of dominant esophageal cancer type from squamous cell to adenocarcinoma, strongly linked to reflux disease and Barrett's metaplasia.* The typical presentation of esophageal cancer is of progressive solid food dysphagia and weight loss.* Associated symptoms may include odynophagia, iron deficiency, and, with mid-esophageal tumors, hoarseness from left recurrent laryngeal nerve injury. Generally, these are indications of locally invasive or even metastatic disease manifest by tracheoesophageal fistulas, and vocal cord paralysis.* Even when detected as a small lesion, esophageal cancer has poor survival because of the abundant esophageal lymphatics leading to regional lymph node metastases.* Benign esophageal tumors are uncommon and usually discovered incidentally. In decreasing frequency of occurrence, cell types include leiomyomas, fibrovascular polyps, squamous papillomas, granular cell, lipomas, neurofibromas, and inflammatory fibroid polyps.* These generally become symptomatic only when they are associated with dysphagia and merit removal only under the same circumstances.